DOC for belladona poisoning
1. Neostigmine
2. Physostigmine
3. Pyridostigmine
4. Edrophonium

Correct answer: 2. Physostigmine

Explanation: Physostigmine is an anticholinesterase & chemically it is a tertiary amine which can cross BBB.
It is DOC for Belladona, Datura & Atropine poisoning.